Which among the following is an iron chelator:-
1. EDTA
2. Desferrioxamine
3. BAL
4. Penicillamine

Correct answer: 2. Desferrioxamine

Explanation: Iron chelator - deferoxamine Antidote of choice for acute iron poisoning It will chelate the iron and treat poisoning BAL (uses)- Bismuth poisoning Lead poisoning Arsenic poisoning Penicillamine - Cu poisoning (wilson's disease) EDTA- calcium salt of EDTA (MNEMONIC - Ca in MILK ) Uses Manganese poisoning Iron poisoning Lead poisoning Cadmium poisoning Deferoxamine USES : Acute iron poisoning (mostly in children) Deferoxamine 0.5 1g/ day i.m helps to excrete the chronic iron overload A/E : Cause histamine release resulting in fall in BP flushing ,urticaria and rashes